Glucose transport/reabsorption in the kidneys is inhibited by:
1. Tetrodotoxin
2. GLUT
3. SGLT
4. Phlorhizin

Correct answer: 4. Phlorhizin

Explanation: Phlorizin is a plant glucoside that competitively binds to SGLT - 2 in the renal tubules, hence preventing glucose binding.